All the following are present deep to the pterion except
1. Middle meningeal vein
2. II cranial nerve
3. Anterior division of the middle meningeal artery
4. Stem of the lateral sulcus of the brain

Correct answer: 2. II cranial nerve

Explanation: The floor of Norma lateralis: The anterior part of the floor is crossed by an H-shaped suture where four bones; frontal, parietal, sphenoid and temporal adjoin each other; This area is termed the pterion. It lies 4 cm above the midpoint of the zygomatic arch or 4 cm above the zygoma and 2.5 cm behind the frontozygomatic suture. Deep to the pterion there lies the middle meningeal vein, the anterior division of the middle meningeal artery, and the stem of the lateral sulcus of the brain.Ref: BD Chaurasia; volume 3; 6th edition; Osteology Page no: 10